All are seen in hypersplenism except:
1. Anemia
2. Thrombocytopenia
3. Splenomegaly
4. Hypocellular bone marrow

Correct answer: 4. Hypocellular bone marrow

Explanation: Ans. (d) Hypocellular bone marrowRef: Sabiston 19/e p 1553-1554Hypersplenism:* Spleen Enlargement+Decrease in Cell count in more than one cell line (Anemia, thrombocytopenia, leucopenia) is known as hyper splenism* Important feature on Bone marrow study is there will be Hyper plasia and immediate improvement of blood counts after splenectomy